Fecal-oral transmission occurs in:
1. HBV
2. HCV
3. Poliomyelitis
4. Rabies

Correct answer: 3. Poliomyelitis

Explanation: Ans. C i.e. Poliomyelitis Polio IM injections and tonsillectomy should be avoided during polio epidemic because: Risk of paralytic polio increases Cause of death in polio: Respiratory paralysis Pulse polio was introduced in India in: 1995 Pulse polio is given to children below: 5 years A country is said to be polio FREE if there is no case confirmed for last: 5 years In AFP/acute flaccid paralysis, examination for residual paralysis should be done after: 60 day